Radiation exposure occurs in all of the following except:
1. CT scan
2. MRI
3. Fluoroscopy
4. Plain X-ray

Correct answer: 2. MRI

Explanation: Ans. MRI